IL-1 is secreted from which cells
1. Mast cells
2. Eosinophils
3. Macrophages
4. Neutrophils

Correct answer: 3. Macrophages

Explanation: Tumor necrosis factor (TNF)Interleukin-1 (IL-1)Granulocyte-monocyte colony-stimulating factor (GM-CSF)Granulocyte colony-stimulating factor (G-CSF)Monocyte colony-stimulating factor (M-CSF)These factors are formed by activated macrophage cells in the inflamed tissues and in smaller quantities by other inflamed tissue cells.Ref: Guyton and Hall textbook of medical physiology 13th edition. Page:462